All of the following are rare but life-threatening adverse effects of thioamide group of anti-thyroid drugs except:
1. Agranulocytosis
2. Aplasia anemia
3. Liver toxicity
4. Lung fibrosis

Correct answer: 4. Lung fibrosis

Explanation: Ans. (D) Lung fibrosis(Ref: KDT 8th/275-276)Thioamides include drugs like methimazole, carbimazole and propylthiouracil.Agranulocytosis and aplastic anemia is serious side effect of all of these drugs but it is seen rarely.Propylthiouracil is associated with hepatotoxicity.All the 3 drugs are teratogenic. Least teratogenic is propylthiouracil.